Golden S sign is seen in:
1. Bronchogenic carcinoma with collapse of lung
2. Traction Bronchiectasis with apical scarring
3. Emphysema with increased lucency and flattened diagphragm
4. Pulmonary edema

Correct answer: 1. Bronchogenic carcinoma with collapse of lung

Explanation: Ans. (a) Bronchogenic carcinoma with collapse of lung* The Golden S sign (reverse S sign of Golden.) is seen in PA chest radiographs with right upper lobe collapse.* It is caused by a central mass obstructing the upper lobe bronchus and should raise suspicion of a primary bronchogenic carcinoma.* The right upper lobe appears dense and shifts medially and upwards with a central mass expanding the hilum. The combination of two changes together form a reverse S shane.